Parasitic subconjunctival cysts are caused by
1. Toxoplasmosis
2. Cysticercosis
3. Leishmaniasis
4. Chagas disease

Correct answer: 2. Cysticercosis

Explanation: Parasitic cysts such as subconjunctival cysticercus, hydatid cyst, and filarial cyst are not infrequent in developing countries. cyst with hooklets on the optic disc has been reported who also had sub-cutaneous and cerebral involvement. The differential diagnosis of orbital cysticercosis includes idiopathic myositis, tumours or metastasis, muscle abscess or haematoma, and other parasitic infections like hydatid cyst Conjunctival cysts need a careful surgical excision. The excised cyst should always be subjected to histopathological examination. Ref: Khurana; 4th ed; Pg 86